One of the following activities is not mediated through β2 adrenergic receptors:
1. Stimulation of lipolysis
2. Increased hepatic gluconeogenesis
3. Increased muscle glycogenolysis
4. Smooth muscle relaxation

Correct answer: 1. Stimulation of lipolysis